Bone graft procedures are most successful in treating:
1. In furcation involvements
2. Deep, two-wall craters
3. Narrow three-wall defects
4. Osseous defects with one remaining wall

Correct answer: 3. Narrow three-wall defects